As a side effect the metabolic syndrome is most commonly associated with which of the following group of medications?
1. Anti-anxiety drugs
2. Anti-depressant drugs
3. Anti-psychotic drugs
4. Anti-cholinergic drugs

Correct answer: 3. Anti-psychotic drugs

Explanation: Ref: Katzung 14th ed. Atypical antipsychotic drugs are known to cause hyperglycemia, hyperlipidemia, insulin resistance and weight gain. Minimum risk of these metabolic adverse effects is with ziprasidone.